Not included in kuppuswamy scale
1. Income
2. Housing
3. Occupation
4. Education

Correct answer: 2. Housing